Treatment of choice of this 3-year-old child with an irreducible lump in right scrotum with trans- illuminance positive.
1. Jaboulay's procedure
2. Lord's plication
3. Sclerotherapy
4. None

Correct answer: 4. None

Explanation: Ans. (d) None.